Formation of the Prochordal plate and the Primitive streak is seen at what age of Development?
1. 2 days
2. 8 days
3. 14 days
4. 16 days

Correct answer: 3. 14 days

Explanation: Age (in days)Developmental Events2Embryo is at two-cell stage3Morula is formed4Blastocyst is formed8Bilaminar disc is formed14Prochordal plate and primitive streak is seen16Intra-embryonic mesoderm is formed/disc is now three-layeredReference: Inderbir Singh Embryology; 10th edition; Page no: 57